Which of the following is false regarding the MRI in the obstetric practice?
1. It should be avoided in the first trimester of the pregnancy
2. Fetal anatomy is well displayed even in the presence of oligohydramnios
3. Spinal and intracranial anomalies are clearly defined
4. Placental abnormalities are not picked up

Correct answer: 4. Placental abnormalities are not picked up

Explanation: Ans DMRI though safe in pregnancy has theoretical chances of inducing irreversible hearing loss in the developing fetal auditory system, so fetal MRI is best avoided in first trimester. For placental invasion abnormalities it is investigation of choice